All of the following characteristics are found in pleural effusion fluid of a rheumatoid arthritis patient except:
1. RA factor positive
2. High glucose
3. Cholesterol crystals
4. High LDH

Correct answer: 2. High glucose

Explanation: Since pleural fluid in RA is an exudate it will have low sugar values. Cholesterol crystals are seen in long standing pleural effusion of RA. High LDH is explained by Light's criteria. Differentials if glucose in pleural fluid is less than 60 mg/dl Glucose <60 mg/dL Consider: Malignancy Bacterial infections Rheumatoid pleuritis